Maximum permissible chloride level is
1. 200 mg/litre
2. 300 mg/litre
3. 500 mg/litre
4. 600 mg/litre

Correct answer: 4. 600 mg/litre

Explanation: (600mg/litre) (579- Park 19"') (629-Park 20th)* Any excess over the normal range should arouse suspicion of water contamination* The standard prescribed for chloride is 200 mg/litre *** The maximum permissible level is 600 mg/litre*** A single tablet of chlorine 0.5gm is sufficient to disinfect 20 litre of water** The principle in chlorination is to ensure a "Free" residual chlorine of 0, 5 mg/litre at the end of one hour contact**